A 35-year-old man with duodenal stump leak after partial gastrectomy is receiving central parenteral nutrition containing the standard D25W, 4.25% amino acid solution. Which is TRUE of essential fatty acid deficiency seen after hyperalimentation?
1. It occurs if soybean oil is given only once weekly.
2. It is usually noted at the end of the first week.
3. It causes dry scaly skin with loss of hair.
4. It is accompanied by hypercholesterolemia.

Correct answer: 3. It causes dry scaly skin with loss of hair.

Explanation: Essential fatty acid deficiency usually occurs if hyperalimentation is extended for more than 1 month and when soybean oil is not administered at least twice a week. There is a decrease in linolenic, linoleic, and arachidonic acids and an increase in oleic and palmitoleic acid. In addition to the skin changes, there may be poor wound healing, increased susceptibility to infection, lethargy, and thrombocytopenia. It is characterized by a triene-to-tetraene ratio >0.4.